Luetic aneurysms are common in all except -
1. Ascending aorta
2. Arch of aorta
3. Descending thoracic aorta
4. Abdominal aorta

Correct answer: 4. Abdominal aorta